Chandler's index is associated with which of the following infestation?
1. Hook worm
2. Round worm
3. Pin worm
4. Whip worm

Correct answer: 1. Hook worm

Explanation: Chandler's index is used in the epidemiological studies of hook worm. It refers to the average number of hook worm eggs per gram of feaces. Chandler's index less than 200 is not significant, value between 200 - 250 indicates potential danger, value between 250 - 300 indicates a minor health problem and value greater than 300 indicates a major health problem.